Which statements best describe mechanical digestion? Select all that apply.
1. It breaks large food particles into smaller ones.
2. It involves the breaking of covalent chemical bonds in organic molecules by digestive enzymes.
3. It begins in the stomach, where some small, lipid-soluble molecules, such as alcohol and aspirin, can diffuse through the stomach epithelium into the circulation.
4. It requires carrier molecules and includes facilitated diffusion, cotransport, and active transport.

Correct answer: 1. It breaks large food particles into smaller ones.

Explanation: A: Mechanical digestion breaks large food particles down into smaller ones.
B: Chemical digestion involves the breaking of covalent chemical bonds in organic molecules by digestive enzymes.
C: Absorption begins in the stomach, where some small, lipid-soluble molecules, such as alcohol and aspirin, can diffuse through the stomach epithelium into the circulation.
D: Transport requires carrier molecules and includes facilitated diffusion, cotransport, and active transport.